Which is not an extrapyramidal tract?
1. Reticulospinal tract
2. Rubrospinal tract
3. Corticospinal tract
4. Tectospinal tract

Correct answer: 3. Corticospinal tract

Explanation: The axons of neurons from the motor cortex that project to spinal motor neurons forms the corticospinal tracts. The ventral corticospinal tract does not cross the midline until it reaches the level of the spinal cord at which it terminates. Lateral corticospinal tract neurons make monosynaptic connections to motor neurons, especially those concerned with skilled movements.Ref: Ganong's Review of Medical Physiology Twenty-Third Edition